In Ulnar nerve injury of arm, all of the following are seen, EXCEPT?
1. Hypothenar atrophy
2. Adduction of thumb
3. Loss of sensation of medial 1/3 of the hand
4. Claw hand

Correct answer: 2. Adduction of thumb

Explanation: The ulnar nerve is most vulnerable near the elbow where it curves posteriorly around the medial epicondyle. The chief motor disability from palsy is loss of the finer intrinsic motions of the hand. Inspection will show an abduction deformity of the little finger from paralysis of the interossei, interosseous muscle wasting, and partial claw hand from interphalangeal flexion deformities of the ring and little fingers. Claw Hand--Klumpke Paralysis: An LMN lesion at the brachial plexus or ulnar nerve produces paralysis of the intrinsic hand muscles results in the claw hand. Sensation on the ulnar aspect of the arm, forearm, and hand may be lost.